The design for a maxillary cast RPD frame work with a double bar (anteriorly and posteriorly) type of major connector is indicated when:
1. Maximum palatal support is required
2. High vault type of palate
3. Acrylic plate for palate is to be used
4. Where a single palatal bar connector would flex

Correct answer: 4. Where a single palatal bar connector would flex